The best indicator of nutritional status for a child is
1. Mid arm circumference
2. Head circumference
3. Rate of increase in height and weight
4. Chest circumference

Correct answer: 3. Rate of increase in height and weight

Explanation: The best indicator of nutritional status of a child is the rate of increase in height & weight. Rest of them are age independent indices. Ref: Page 64, Ghai Essential Pediatrics; 7th edition